Eradication of H. pylori has been proved to be beneficial in the following condition except-
1. Duodenal ulcer
2. Gastric ulcer
3. Low grade MALT lymphoma
4. Hypertrophic gastritis

Correct answer: 4. Hypertrophic gastritis